Most common cause of postpartum hemorrhage is:
1. Uterine atony
2. Retained products
3. Trauma
4. Bleeding disorders

Correct answer: 1. Uterine atony

Explanation: Ans. is a, i.e. Uterine atonyRef Dutta Obs. 7/e, p 410Most common cause of PPH or primary PPH is Atonic uterusMost common cause of secondary PPH is retained placenta